Note true about Japanese encephalitis
1. Transmitted by culex mosquito
2. Caused by group A arbovirus
3. Pig is amplifier host
4. Man is incidental host

Correct answer: 2. Caused by group A arbovirus

Explanation: Ans. b. Caused by group A arbovirus